Chapter-14 in International classification of disease is related to -
1. Disease of CVS
2. Disease of urinary system
3. Disease of eye
4. Disease of ear

Correct answer: 2. Disease of urinary system

Explanation: Ans. is 'b' i.e., Disease of urinary system 21 Chapters and their contents* Chapter Iincludes'Infectious and parasitic diseases'* Chapter IIincludes'Neoplams'* Chapter IIIincludesDiseases of blood & immune system '* Chapter IVincludes'Endocrine, nutritional and metabolic disorders'* Chapter Vincludes'Mental & behavioral disorders'* Chapter VIincludesDiseases of nervous system '* Chapter VIIincludesDiseases of eye'* Chapter VIIIincludesDiseases of ear and mastoid'* Chapter IXincludesDiseases of CVS'* Chapter XincludesDiseases of respiratory system'* Chapter XIincludesDiseases of digestive system'* Chapter XIIincludesDiseases of skin & subcutaneous tissue'* Chapter XIIIincludesDiseases of musculoskeletal system'* Chapter XIVincludesDiseases of genitourinary system'* Chapter XVincludesPregnancy childbirth andperperium'* Chapter XVIincludes'Conditions of perinatal period'* Chapter XVIIincludes'Congenital malformation and genetic disorders'* Chapter XVIIIincludes'Clinical and laboratory findings not included elsewhere'* Chapter XIXincludesInjury, poisoning and other consequences of external causes.* Chapter XXincludes'External causes of morbidity and mortility'* Chapter XXI (21)includesfactors influencing health status and contact with health services. These area) Problem of lifestyleb) Alcohol usec) Tobacco used) Drug usee) Lack of physical exercisef) Inappropriate diet & eating habitsg) High risk sexual behavior